Which of the following attitude will be seen in a patient with posterior dislocation of hip
1. Flexion, Adduction, External rotation
2. Flexion, Adduction, Internal rotation
3. Flexion, Abduction, External rotation
4. Flexion, Abduction, Internal rotation

Correct answer: 2. Flexion, Adduction, Internal rotation

Explanation: * Posterior dislocations: Commonest and is seen in 80-90 percent of the cases * Anterior dislocations: Seen in 10-15 percent * Central dislocations: Relatively rare Posterior Dislocation:- Hip is Flexed, Adducted, and Internally Rotated, and Leg Is Shortened. Clinical features:- * Patient have marked shortening and gross restriction of all hip movements. Head of the femur is felt as a hard mass in the gluteal region and it moves along with the femur. Vascular sign of Narath is negative. features of sciatic nerve palsy may be present. Thompson and Epstein Classification: For Posterior Hip Dislocation:- * Type I: With or without minor fracture. * Type II: With a large single fracture of the posterior acetabular rim. * Type III: With communition of the rim of the acetabulum with or without a major fragment. * Type IV: With fracture of the acetabular floor. * Type V: With fracture of the femoral head. Methods of Closed Reduction: - * Allis method * Bigelow method * Classical Watson Jones method * Stimson's gravity method * Whistler's technique(over-under) Indications for Open Reduction: - * Failed closed reduction. * Failed stability test. * Big posterior lip fragment. * Bone fragment within the acetabulum. * Fracture of the femoral head. * Sciatic nerve palsy. Complications: - * Myositis ossificans ,sciatic nerve injury. Ref:- John ebnezar; pg num:- 314